Young male with painless induration of penis, enlarged non tender genital lymph nodes. Cause is -
1. Chancroid
2. Herpes genitalis
3. Primary syphilis
4. Donovanosis

Correct answer: 3. Primary syphilis